Which one of the following has the maximum ionization potential?
1. Electron
2. Proton
3. Helium ion
4. Gamma – Photon

Correct answer: 3. Helium ion

Explanation: Penetration power : Gamma rays> X rays > Beta particle >Alpha particle (or helium ion) Ionizing & damaging power: is reserve Alpha particle (or helium ion) > Beta particle > X ray> Gamma ray